Which of the following is included in AIDS Defining Opportunistic Illness?
1. Oral Candidiasis (Thrush)
2. Invasive Carcinoma cevix
3. Cyclosporiasis
4. Herpes Zoster Virus

Correct answer: 2. Invasive Carcinoma cevix

Explanation: Invasive cervical carcinoma is CDC stage 3 (AIDS)- Defining Oppounistics Illness in HIV infection. Invasive cervical cancer, is an (AIDS)-Defining Opportunistic illness in HIV infection among adults, adolescents, and chidren age >/= 6 years. CDC Stage 3 (AIDS)- Defining Opportunistic Illnesses in HIV infection. The centres for Disease control and prevention (CDC) has developed a list of specific opportunistic Illness the presence of which is enough to diagnose Advanced HIV disease (AIDS-stage 3). These serious and life-threatening diseases that occur in HIV-positive people are called "AIDS-defining" illnesses. No single patient is likely to have all of these problems (some of the conditions, in fact, are rare) Ref: Harrison 19th edition Pgno: 1215